Alcohol/ethanol induced fatty liver is caused by increased in ratio of?
1. NAD* to NADH
2. NADH to NAD'
3. NADPH to NADP*
4. NADP' to NADPH

Correct answer: 2. NADH to NAD'

Explanation: Ans. is 'b' i.e., NADH to NAD,Ethyl alcohol (ethanol) is readily absorbed from GIT and degraded by oxidation (oxidative process).Liver is the major site for ethanol oxidation.Excess alcohol intake leads to excessive production of NADH with a concomitant decrease in NAD+ which causes Hypoglycemia, Inhibition of p- oxidation of fatty acids and citric acid cycle, Increased lipogenesis, Accumulation of lipids, Lactic acidosis and hyperuricemia.